Phagocytosis is not done by -
1. NK cells
2. Histiocytes
3. WBC
4. Macrophages

Correct answer: 1. NK cells

Explanation: Ans. is 'a' i.e., NK cells